A 60 year old man underwent phacoemulsification surgery and placement of foldable intraocular lens in the left eye a year back . He now presents to OPD with complaints of hazy vision in that eye. There is no associated redness , pain or watering of eye. The most common cause is:
1. Posterior capsular opacification
2. Cystoid macular edema
3. Neovascular glaucoma
4. Chorioretinits

Correct answer: 1. Posterior capsular opacification

Explanation: 1. Posterior capsular opacification- Most common complication of cataract surgery which usually present after 1 year of cataract surgery. 2.Neovascular glaucoma usually occurs in conditions which predisposes to hypoxia like DM and CRVO . 3. Chorioretinitis usually occurs in toxoplasma ,herpes, CMV ,TB and other infectious and autoimmune conditions. It does not occur as a complication of cataract surgery. 4. Cystoid macular edema can occur as a complication of cataract surgery, but it presents within 2-3 months of surgery.